Which of the following is a duty of multipurpose worker male:
1. He will visit schools at regular interval in the PHC
2. Organizes staff meetings
3. Regularly visit to every house in his area
4. Attends patients in the OPD

Correct answer: 3. Regularly visit to every house in his area

Explanation: Ans. C: Regularly visit to every house in his area It has been said to the credit of a competent MPHW that he knows his wards as a shepherd knows his sheep.